True aboutALL-
1. Anemia
2. Leukopenia
3. Hepatomegaly
4. All of the above

Correct answer: 4. All of the above

Explanation: Ans. is 'd' i.e., All of the above Clinical manifestations of ALL o Symptoms related to depression of normal marrow function. An accumulation of neoplastic blast cells in the bone marrow suppresses normal hematopoisis by physical crowding and competition for growth factors. This results in : ? Anemia Fatigue, pallor Neutropenia --> Infection, fever Thrombocytopenia Bleeding, petechiae, ecchymoses, epistaxis. These are the most common sign & symptoms. o Bone pain and tenderness Resulting from marrow expansion and infiltration of the subperiosteum. o Generalized lymphadenopathy, splenomegaly and hepatomegaly Caused by neoplastic infiltration of these tissues. More common in ALL than AML. o Symptoms related to compression of large mediastinal vessels or airway In Pre-T ALL of thymus. o CNS manifestation Due to meningeal involvement. Headache, vomiting, nerve palsies. More common in ALL than in AML. o Testicular involvement is also more common in ALL than in AM L.